Which of the following is not the function of complements?
1. Ceil lysis
2. Antiviral action
3. Promotes phagocytosis
4. Toxin neutralization

Correct answer: 4. Toxin neutralization

Explanation: Ans: D (Toxin neutralization) Ref: Ananthanarayan, Paniker CJ. Textbook of microbiology. 8th Edition. London: John Wiley & Sons: 2009. Pg 120Explanation:Functions of ComplementIt mediates immunological membrane damage (cytolysis, bacteriolysis)It amplifies the inflammatory response and participates in the pathogenesis of certain hypersensitivity reactions.It exhibits antiviral activityIt promotes phagocytosis and immune adherence.It also interacts with the coagulation, fibrinolytic and kininogenic systems of blood.